Moclobemide is -
1. SSRI
2. Antipsychotic drug
3. MAO inhibitors
4. Prevent recyclation of adrenaline

Correct answer: 3. MAO inhibitors

Explanation: Ans. is 'c' i.e., MAO inhibitor o Moclobemide is a reversible inhibitor of MAO-A (RIMA).